Which of the following surgeries for stress incontinence has highest success rate:
1. Burch's colposupension
2. Stamey's repair
3. Kelly's stitch
4. Aldridge surgery

Correct answer: 1. Burch's colposupension

Explanation: As discussed in preceding text SUI is managed basically by performing either of the two surgeries viz-
1. Burch colposuspension
2. Tension free vaginal tapes/tension free obturator tapes.
The rates of success of these two surgeries are comparable, so if either of them is given in options, we will chose it.
So in version II- Answer is Burch colposuspension